Chance of subsequent baby having NTD when first baby was born with NTD -
1. 2%
2. 4%
3. 10%
4. 20%

Correct answer: 2. 4%

Explanation: Ans. is 'b' i.e., 4%The recurrence risk of neural tube defect is :3 - 5 % if a couple has previously had a child with either anencephaly or spina bifida.5% if either parent was born with a NTD.10% if a couple has two affected children